A female presents with significant blood loss due to post-partum haemorrhage (PPH). What would be the shock index (HR/systolic BP)?
1. 0.3-0.5
2. 0.5-0.7
3. 0.7-0.9
4. 0.9-1.1

Correct answer: 4. 0.9-1.1

Explanation: Shock index = heartrate/systolic BP
Normal = 0.5–0.7
If it becomes 0.9–1.1 it indicates massive blood loss and need for intensive resuscitation.